Voriconazole is used for all the diseases mentioned below except:
1. Aspergillosis
2. Candida albicans
3. Candida tropicalis
4. Mucoromycosis

Correct answer: 4. Mucoromycosis

Explanation: Mucoromycosis